Interosseous recurrent artery is a branch of:-
1. Anterior interosseous artery
2. Posterior interosseous artery
3. Common interosseous artery
4. Radial artery

Correct answer: 2. Posterior interosseous artery

Explanation: Ulnar artery gives common interosseous artery, which divides into anterior and posterior interosseous arteries. Posterior interosseous artery gives the interosseous recurrent artery.